Function of umbilical vein is:
1. Carry oxygenated blood away from the fetus
2. Carry oxygenated blood towards the fetus
3. Carry deoxygenated blood away from the fetus
4. Carry deoxygenated blood towards the fetus

Correct answer: 2. Carry oxygenated blood towards the fetus

Explanation: Umbilical vein carries oxygenated blood to embryo